Synthetic Orygen carrier is made up of_
1. Iron
2. Bronze
3. Molybdenum
4. Flurine

Correct answer: 4. Flurine

Explanation: Ans. is 'd' i.e., FlurineBlood doping is a form of fraudulent increase in the oxygen carrying capacity of a person, widely used to improve the aerobic capacity of athletes.